Brown tumors, compression syndromes and erythropoietin resistance is seen in:
1. Hypothyroidism
2. Hyperthyroidism
3. Hyperparathyroidism
4. Osteoporosis

Correct answer: 3. Hyperparathyroidism

Explanation: Clinical manifestations of severe hyperparathyroidism include bone pain and fragility, brown tumors, compression syndromes and erythropoietin resistance in part related to the bone marrow fibrosis.